Hepatomegaly with liver pulsation indicates -
1. TR
2. MR
3. Pulmonary' hypertension
4. MS

Correct answer: 1. TR

Explanation: Ans. is 'a' i.e., TR o Systolic pulsations of the liver and marked hepatomegaly are characteristic features of Tricuspid Resursitation.# 'Hepatic pulsation in Tricuspid Regurgitation are caused by reversed systolic blood flow in the great veins'.# 'In about 2/3rd of patients with Tricuspid Regurgitation there is associated systolic pulsations of liver which may be considerably enlarged and tender.'